Which of the following is seen in carcinoma oesophagus -
1. Rat tail appearance
2. Corkscrew appearance
3. Bird beak sign
4. Caterpillar sign

Correct answer: 1. Rat tail appearance

Explanation: Ans. is 'a' i.e., Rat tail appearance Rat tail appearance of esophagusEsophageal carcinomaMegaesophagus (sigmoid esophagus)"Bird beak" appearance Hurst phenomenon Achalasia cardiaYo-Yo motion of barium"Corkscrew" appearance (esophageal curling)Rosary-bead'sheikh kebab configurationChain of bead appearance Diffuse esophageal spasm